Which of the following is not a principle of Primary Health care?
1. Appropriate technology
2. Community participation
3. Intersectoral coordination
4. Universal Health coverage

Correct answer: 4. Universal Health coverage

Explanation: Principles of Primary healthcare are- Equitable distribution Community participation Appropriate technology Inter-sectorial coordination